Hyperbaric oxygen is used in - a) Co poisoning  b) ARDS  c) Anerobic infection  d) Septicemia  e) Pneumonia
1. ac
2. ad
3. ab
4. de

Correct answer: 1. ac